The following disease without splenomegaly for which splenectomy is effective -
1. Sickle cell disease
2. Idiopathic thrombocytopenic purpura
3. Aplastic anaemia
4. Thalassemia

Correct answer: 2. Idiopathic thrombocytopenic purpura